Metabolism of which of the following amino acid is at fault in Hartnup's disease:
1. Tryptophan
2. Sulfur amino acids
3. Glycine
4. Histidine

Correct answer: 1. Tryptophan

Explanation: Abnormal metabolism of amino acids and conditions Hartnup's disease is a hereditary disorder of tryptophan metabolism Sulfur amino acids (methionine, cysteine and cystine) metabolism disorder results in cystinuria, cystinosis, homocystinuria and cystathionuria Disorder of glycine metabolism results in glycinuria and primary hyperoxaluria Defect in metabolism of histidine results in histidinemia